Venous return (VR) is given by formula -
1. VR = (RVR - RAP)/ MFSP
2. VR = (MFSP - RVR)/RAP
3. VR = (MFSP - RAP)/RVR
4. None

Correct answer: 3. VR = (MFSP - RAP)/RVR

Explanation: C i.e. VR = (MSFP-RAP)/RVR